You have 1: 10,000 adrenaline solution in a l. If you want to inject 1 mg of adrenaline, how much volume of this solution should be injected?
1. 10 ml
2. 1 ml
3. 100 ml
4. 0.01 ml

Correct answer: 1. 10 ml

Explanation: 1:10,000 solution means 1 g adrenaline is present in 10,000 ml of solution 1000 mg adrenalin is present in 10,000ml (as 1 g = 1000 mg) So, 1 mg adrenaline will be present in 10,000/1000*1 = 10 ml So, inject 10 ml of 1: 10,000 Adrenaline to administer 1 mg dose